Which of the following Structures is not removed in RND dissection ?
1. Level IV nodes
2. Sternocleidomastoid
3. Cranial nerve XI
4. Level VII nodes

Correct answer: 4. Level VII nodes

Explanation: RND is Removing level I to V lymphnode along with three structres (Spinal accessory nerve, IJV and sternocleidomastoid muscle).